Spalding's sign occurs after:
1. Birth of live fetus
2. Death of fetus in uterus
3. Rigor mortis of infant
4. Cadaveric spasm

Correct answer: 2. Death of fetus in uterus

Explanation: Spalding's sign is a radiological sign, consists of loss of alignment and overlapping of the bones of the cranial vault due to shrinkage of the cerebrum after death of the foetus. Spalding's sign is evident around seven days following fetal death. Ref: Manual of Obstretics By Daftary, 3rd Edition, Page 601; Obstetrics For Undergraduates The Five Fingers By Chattopadhayay and Narayana Swamy, Sisir K. Chattopadhyay Et Al, 2006, Page 120; Park's Textbook of Preventive and Social Medicine By K. Park, 6th Edition, Pages 2.36, 5.75.